Pigment seen in malarial parasite is formed from which of the following?
1. Bilirubin
2. Biliverdin
3. Hemoglobin
4. Melanin

Correct answer: 3. Hemoglobin

Explanation: Hematin globin is formed as a result of incomplete metabolism of hemoglobin by malarial parasite. Malaria parasites are from the genus Plasmodium, malaria is caused by P. falciparum, P. malariae, P. ovale, P. vivax. Among those infected, P. falciparum is the most common species identified (~75%) followed by P. vivax (~20%). P. falciparum accounts for the majority of deaths.